Most common indication for Liver Transplant in paediatric Patients:
1. Biliary Atresia
2. Cirrhosis
3. Hepatitis
4. Fulminant liver failure

Correct answer: 1. Biliary Atresia

Explanation: Ans. (a) Biliary AtresiaRef: Surgery Sixer 3rd Edition Page 153* MC indication for Liver transplant in Children - Biliary tresia* MC indication for Liver transplant in Adults - HCV induced cirrhosis* MC metabolic indication for Liver transplant - Alpha 1 AT deficiency